Least common quadrant of cancer breast
1. Superior Outer
2. Inferior Outer
3. Sub areolar
4. Lower inner quadrant

Correct answer: 4. Lower inner quadrant

Explanation: Ans. (d) Lower Inner Quadrant* MC site - Upper outer (60%)* Central/areolar (12%)* Upper Inner (12%)* Lower Outer (10%)* Least Common site - Lower Inner (6%)